HLA association with Myasthenia gravis is -
1. HLA-B27
2. HLA-B51
3. HLA-B47
4. HLA-B8

Correct answer: 4. HLA-B8

Explanation: Ans. is 'd' i.e., HLA-B8 o HLA-B8 is associated with Myasthenia gravis and Grave's disease.About other optionso HLA 51 is associated with Behcet's disease. o HLA 47 is associated with congenital adrenal hyperplasia.o HLA-B27 is associated with seronegative spondyloartropathies (ankylosing spondylitis, Psoriatic arthritis, Reiter's syndrome, reactive arthritis) and acute anterior uveitisHLA - class 1B - 27Spondyloarthropathies # Ankylosing spondylitis# Acute anterior uveitis# Psoriatic arthritis# Reiter's syndrome# Reactive arthritisB-8Hyperthyroidism (Graves' disease) Myasthenia gravis B - 51Behcet's disease B-47Congenital adrenal hyperplasia CW6Psoriasis vulgaris HLA-class IIDR-2# Japanese SLE# Narcolepsy# Multiple sclerosis# Goodpasture's syndromeDR-3# Myasthenia gravis# Type I DM# Chronic active hepatitis# Sjogren's syndrome# Graves' disease# Dermatitis herpetiformis# Caucasian SLEDR-4Type 1 DM Pemphigus vulgaris Rheumatoid arthritis DR-5Juvenile (pauciarticular) arthritis DR-8Type / DM DQ-1Pemphigus vulgaris DQ - 2,DQ-8Gluten sensitive enteropathy (celiac sprue) DQ-7Bullous pemphigoid DQ-8Type 1 DM